Renal TB mode of infection
1. Direct from bowel
2. Ascending
3. Hematogenous
4. Lymphatic

Correct answer: 3. Hematogenous

Explanation: Answer- C. HematogenousGenitourinary tuberculosis is always secondary to pulmonary infection, though in many cases, the primary focus has healed or is quiescent.Infection occurs the hematogenous route